A 6 yr old child with a history of birth asphyxia does not communicate well, has slow mental and physical growth, does not mix with people, has limited interests and gets wildly agitated if disturbed. What is the MOST likely diagnosis of this child?
1. Hyperkinetic child
2. Autistic Disorder
3. Attention deficit disorder
4. Schizophrenia

Correct answer: 2. Autistic Disorder

Explanation: History of birth asphyxia along with impairment in language development, social development and behaviour suggest that this child is suffering from autism. Autism is a developmental disorder which comprise of abnormal function in 3 areas such as communication, social interaction and behaviour in the form of stereotypic, restrictive, and repetitive patterns of behavior, interests, and activities. Attention deficit hyperactivity disorder is a neurodevelopmental disorder that may affect 2-10% of school aged children and may persist into adolescence and adulthood. The triad of symptoms associated with it are impulsivity, inattention and hyperactivity. Ref: Goldson E., Reynolds A. (2012). Chapter 3. Child Development & Behavior. In W.W. Hay, Jr., M.J. Levin, R.R. Deterding, J.J. Ross, J.M. Sondheimer (Eds), CURRENT Diagnosis & Treatment: Pediatrics, 21e